Which of these is not an ultrasound finding consistent with diagnosis of adenomyosis?
1. Uterine enlargement
2. Subendometrial echogenic linear striations
3. Thickening of transitional zone
4. Encapsulated hypoechoic lesion

Correct answer: 4. Encapsulated hypoechoic lesion

Explanation: USG findings in adenomyosis Uterine enlargement not explained by leiomyoma Subendometrial echogenic linear striations Heterogenous echotexture Cystic anechoic spaces or hypoechoic areas: lakes of endometrial blood Junctional zone between endometrium and myometrium>12 mm (normal 5-8 mm) Obscured endo-myometrial interface